Anopheles species for the transmission of malaria in urban areas is
1. Anopheles culicifacies
2. Anopheles fluviatilis
3. Anopheles sundaicus
4. Anopheles stephensi

Correct answer: 4. Anopheles stephensi

Explanation: Vector of rural malaria is Anopheles culicifacies.
Vector of urban malaria is Anopheles stephensi.